Which of the following statement regarding shigella dysentriae type I is true -
1. It can lead to haemolytic uremic syndrome
2. It produces an invasive enterotoxin
3. It is an facultative aerobe
4. It is MR negative

Correct answer: 1. It can lead to haemolytic uremic syndrome